Non-pathogenic amoebae is/are -
1. E. histolytica
2. E.coli
3. Acanthanmoeba
4. All

Correct answer: 2. E.coli

Explanation: Ans. is 'b' i.e., E. coli Non-pathogenic amaebae are E.hartmanni, E.coli, E.polecki, Endolimax nana, lodamoeba botschlii, and Dientamoeba fragilis.